Halitosis is primarily because of:
1. Hydrogen sulfide
2. Alkaline phosphates
3. Trypsine like enzymes
4. Collagenase enzymes

Correct answer: 1. Hydrogen sulfide